After childbirth, the external cervical os is:
1. Regular, oval
2. Transverse
3. Longitudinal
4. Irregular, oval

Correct answer: 2. Transverse

Explanation: Before childbirth, the external cervical os is a small, regular, oval opening. After childbirth, the orifice is converted into a transverse slit that is divided such that there are the so-called anterior and posterior lips of the cervix.